All of ;tie ruilowilig are ultrasoliographic fetal growth parameters except :
1. Biparietal diameter
2. Head circumference
3. Transcerebeller diameter
4. Femur length

Correct answer: 3. Transcerebeller diameter

Explanation: Ans. is c i.e. Transcerebellar diameter